All horizontal movements of eye are affected by lesions in the
1. Cerebellum
2. Midbrain
3. Cerebrum
4. Pons

Correct answer: 4. Pons

Explanation: The brainstem center controlling the horizontal conjugate eye movements in the neighbourhood of the sixth (abducens nucleus) is the pontine paramedian reticular formation (PPRF).
The brainstem center for verticle gaze is in midbrain, just above the third (occulomotor) nuclei.